The symptoms of hyperparathyroidism include:
1. Constipation and muscle weakness
2. Anorexia and weight loss
3. Polydipsia and polyuria
4. All of the above

Correct answer: 4. All of the above

Explanation: Ans. (d) All of the aboveClinical features of Hypoparathyroidism:* Weakness* Fatigue* Polydipsia, Polyuria, Nocturia,* Bone and Joint Pain* Constipation, Decreased appetite, heart burn* Pruritus* Depression* Memory loss* CapO4 and Ca. Oxalate Renal calculi